Acanthosis Nigricans in old patient usually indicate :
1. Skin Disorder
2. Malignancy
3. Senile Brain
4. Usually found in negro

Correct answer: 2. Malignancy

Explanation: B. i.e. Malignancy